Burst abdomen most commonly occurs on the -
1. 2nd day
2. 3rd day
3. 7th day
4. 9th day

Correct answer: 3. 7th day

Explanation: • Serous or serosanguinous discharge from the wound is the first sign of dehiscence
• Most commonly observed between 6th and 8th post-operative day (may occur at any time following wound closure)
• Wound dehiscence is partial or total disruption of any or all layers of the operative wound.
• Extrusion of abdominal viscera after rupture of all layers is known as evisceration.